NK cells are components of
1. Innate immunity
2. Acquired immunity
3. Adaptive immunity
4. None of the above

Correct answer: 1. Innate immunity

Explanation: NK cells – Innate immunity.
B cells and T cells – Acquired immunity.